Not an example of substrate level phosphorylation
1. Phosphofructokinase
2. Succinyl thiokinase
3. Pyruvate kinase
4. Phosphoglyccerate kinase

Correct answer: 1. Phosphofructokinase

Explanation: Repeated question